Order of the following structures of fallopian tube from lateral to medial -
1. Ampulla-Infundibulum-lsthmus-Interstitial
2. Infundibulum-Ampulla-Isthmus-lnterstitial
3. Isthmus-Infundibulum-Ampulla-Interstitial
4. Ampulla-Isthmus-Infiindibulum-Interstitial

Correct answer: 2. Infundibulum-Ampulla-Isthmus-lnterstitial

Explanation: Ans. is 'b' i.e., Infundibulum-Ampulla-Isthmus-Interstitial UTERINE TUBE fallopian TUBEIo These are tortuous ducts which convey oocyte from ovary to uterus,o They are situated on the upper free border of the broad ligament.o The uterine tube is about 10 cm long.o At the lateral end, the uterine tube opens into the peritonea! cavity through abdominal ostium.o It is lined by ciliated columnar epithelium.Subdivisions of the fallopian tubeo From lateral to media! the fallopian tube has following parts :Infundibulum (fimbriated end) : It bears a number of finger-like processes called fimbriae. One of the large fimbriae is attached to ovary called ovarian fimbria.Ampulla: It forms approximately lateral two third (6-7 cm) of the tube.Isthmus: It forms medial one third (2-3 cm) of the tube.Interstitial or uterine or intramural part: It is 1 cm lung and lies within the wall of the uterus.Blood supplyo Medial two third - Uterine artery,o Lateral one third - Ovarian artery.Lymphatic drainageo Lateral aortic and preaortic nodes,o From isthmus - Superficial inguinal nodes.The subdivisions, relations and blood supply of the uterine tube